Renal manifestations are seen in all of the following metabolic disorders EXCEPT?
1. Tyrosinemia
2. Galactosemia
3. Hereditary fructose intolerance
4. Phenylketonuria

Correct answer: 4. Phenylketonuria

Explanation: Renal manifestations are seen in: Tyrosinemia Galactosemia Hereditary fructose intolerance Cystinosis